Platelet adhesion to collagen occurs
1. Factor VIII
2. Factor IX
3. Von-Willebrand factor
4. Fibronectin

Correct answer: 3. Von-Willebrand factor

Explanation: . Von-Willebrand factor